Eye examination of a patient revealed lack of upward gaze and dilated pupils fixed to light. What is the MOST probable location of the lesion?
1. Optic chiasm
2. Inferior colliculus
3. Superior colliculus
4. Edinger Westphal nucleus

Correct answer: 3. Superior colliculus

Explanation: In a patient with lesion of the superior colliculus, there is loss of upward gaze associated with dilated pupils that are fixed to light. Lesions in the collicular region is caused by pressure and distortion of underlying structures in the midbrain and not by damaged to specific pathways traversing the colliculi. It can produce any combination of impaired upward gaze, impaired downward gaze, pupillary abnormalities or loss accommodation reflex can occur. The general name for the clinical picture produced is called Perinaud's syndrome. Ref: Textbook of Ophthalmology edited by Sunita Agarwal, page 284.